Which of the following statements differe-ntiates the obsessional idea from delusions
1. The idea is not a conventional belief
2. The idea is held inspite of contrary evidence
3. The idea is regarded as senseless by patient
4. The idea is held on inadequate ground

Correct answer: 3. The idea is regarded as senseless by patient

Explanation: C i.e., Idea is regarded as senseless by patientDelusionObsession- A false belief that is firmly maintained even though it is- An idea, emotion or impulse that repetitively andcontraindicated by social reality.insistently forces itself into consciousness even though it is- While it is true that some superstitions & religious beliefsunwelcomed.are held despite the lack of confirmatory evidence, such- The patient recognizes as one's own idea (i.e. not beingculturally engendered concepts are not consideredimposed from outside) but is ego alien (foreign to one'sdelusion.personality and do not make any sense)Q.- What is characteristic of delusion is that it is not shared by- Attempts to suppress it but is unable.others (not a conventional belief); rather it is an- The most common pattern is obsession ofidiosyncratic and individual misconception orcontamination (f/b compulsive washing or avoidancemisinterpretation that is held inspite of contrary evidenceof object).and inadequate groundsQ.- Patients may literally rub the skin off their hands by- It is a thinking disorder of enough impo to interfere withexcessive washing or may be unable to leave theirthe subjects functioning, since in the area of their delusionthey no longer share a consensually validated reality withother people.homes because of fear of germs.